True labor pain includes all except
1. Painful uterine contraction
2. Short vagina
3. Formation of the bag of waters
4. Cervical dilatalion

Correct answer: 2. Short vagina

Explanation: True labor pain is characterized by painful uterine contractions, show, dilatation of internal os, the formation of the bag of waters.Reference:DC Dutta's Textbook of obstetrics,8th edition,page no:137.